The syndromic management of urethral discharge includes
1. Neisseria gonorrhoeae and herpes genitalis
2. Chlamydia trachomatis and herpes genitalis
3. Neisseria gonorrhoeae and Chlamydia trachomatis
4. Syphilis and chancroid

Correct answer: 3. Neisseria gonorrhoeae and Chlamydia trachomatis

Explanation: Ans. c. Neisseria gonorrhoeae and Chlamydia trachomatisSyndromic ManagementUrethral discharge: Neisseria gonorrhoeae and Chlamydia trachomatisGenital ulcer disease: Syphilis and Chancroid